Drug of choice for treatment of chronic myeloid leukemia is
1. Imatinib
2. Cisplatin
3. Methotrexate
4. Tamoxifen

Correct answer: 1. Imatinib

Explanation: Imatinib - first line drug for chronic phase CML,in blast crisis and second line therapy for chronic phase CML that has progressed on prior IFN-a therapy Imatinib is also first line drug for metastatic c-kit positive GIST. Nilotinib, Bosutinib, Dasatinib - used in treatment of resistant CML Dasatinib is also used for treatment of Philadelphia chromosome positive ALL. Sunitinib-approved for the treatment of Advanced RCC and for the treatment of GIST after disease progression on or with intolerance to Imatinib. Methotrexate- DOC of choriocarcinoma Cisplatin - DOC- esophageal or gastric cancer Tamoxifen - DOC for ER positive breast cancer